Drug of choice in absence seizures:
1. Phenytoin
2. BZD
3. Valproate
4. Carbamazepine

Correct answer: 3. Valproate

Explanation: Absence seizure:are manifest by sudden cessation of activity with staring, usually lasting only 5-15 seconds.They are also known as petit mal seizures.First line of treatment is valporate other drugs like ethosuximide and lamotrigine can also be given. Think Detail: Choice of antiepileptic drugs: SEIZURE TYPES FIRST LINE SECOND LINE Primary Generalized Tonic Clonic Valproic acid Lamotrigine Topiramate Zonisamide Phenytoin Carbamazepine Partial Carbamazepine Phenytoin Lamotrigine Oxcarbazepine Valproic acid Levetiracetam Topiramate Tiagabine Absence Valporate Ethosuximide Lamotrigine Clonazepam Reference: Harrison's Principle of internal medicine, 17th Edition,Page 2511;